Partial-Birth Abortion Ban Act parts passed in -
1. 1995
2. 2000
3. 2003
4. 2008

Correct answer: 3. 2003

Explanation: The Partial-Birth Abortion Ban Act of 2003 (, enacted November 5, 2003,PBA Ban) is a United States law prohibiting a form of late termination of pregnancy called "partial-birth abortion", referred to in medical literature as intact dilation and extraction. Under this law, any physician "who, in or affecting interstate or foreign commerce, knowingly performs a partial-birth abortion and thereby kills a human fetus shall be fined under this title or imprisoned not more than 2 years, or both". The law was enacted in 2003, and in 2007 its constitutionality was upheld by the U.S. Supreme Court in the case of Gonzales v. Carhart. Ref: https://en.m.wikipedia.org/wiki/Partial-Birth_Abortion_Ban_Act